Drug not used in SIADH is:
1. Demeclocycline
2. Desmopressin
3. Restriction of free water intake
4. 3% NaCl

Correct answer: 2. Desmopressin

Explanation: Desmopressin is ADH and will exacerbates the symptoms of SIADH. Hypertonic saline (3%NaCl) is used for severely symptomatic patients with hyponatremia. Demeclocycline decreases the release of ADH.